Laminated concretions of calcium and proteins are?
1. Schaumann's bodies
2. Ferrugenious bodies
3. Asteroid bodies
4. Gamma Gandy bodies

Correct answer: 1. Schaumann's bodies

Explanation: Ans. is 'a' i.e., Schaumann's bodies